All are risk factors for carcinoma breast except:
1. Early menarche
2. Late menopause
3. Ovarian cancer
4. Early full term pregnancy

Correct answer: 4. Early full term pregnancy

Explanation: Risk Factors for Breast Cancer 1. Age: Incidence increases with age 2. Country of birth: More common in western countries 3. Family history and genetic risk factors (BRCA mutation) 4. Hyperestrogenemia: Early menarche, late menopause; Nulliparity; Obesity 5. Late first full term pregnancy 6. Alcohol and high fat diet 7. Personal history of malignancy: Contralateral breast cancer; Ovarian and endometrial cancer 8. Previous benign breast disease 9. High socioeconomic status 10. Radiation exposure 11. Hormone replacement therapy